Warthin tumour is:
1. Adenolymphoma of parotid gland
2. Pleomorphic adenoma of parotid
3. Carcinoma of parotid
4. Carcinoma of submandibular salivary gland

Correct answer: 1. Adenolymphoma of parotid gland

Explanation: Warthin Tumor: Papillary Cystadenoma Lymphomatosum Benign neoplasm of salivary gland Arises almost exclusively in parotid gland Round to oval encapsulated masses, 2 to 5 cm in diameter M/E -These spaces are lined by a double layer of neoplastic epithelial cells which might have germinal centres, resting on a dense lymphoid stroma .